Which of the following is not a cause of generalized increase in bone density in adults ?
1. Myelosclerosis
2. Renal osteodystrophy
3. Fluorosis
4. Caffey's disease

Correct answer: 4. Caffey's disease

Explanation: Caffey's disease is also known as infantile cortical hyperostosis It is self limiting disorder occuring only in infants. Single layered or laminated periosteal reaction, subperiosteal dense cortical hyperostosis involving only the diaphysis of long bones is characteristic radiological picture of Caffey's disease.